Endemic typhus is transmitted by?
1. Flea
2. Tick
3. Mite
4. Mosquito

Correct answer: 1. Flea

Explanation: Endemic typhus is transmitted by flea. Reference:Park's textbook of preventive and social medicine,K.Park,23rd edition,page no:299.